Floppy iris syndrome is associated with usage of
1. Anticholinergics
2. PDE- 5 inhibitor
3. Selective alpha- adrenergic antagonist
4. 5 alpha reductase inhibitor

Correct answer: 3. Selective alpha- adrenergic antagonist

Explanation: Selective alpha- adrenergic antagonist side effects may include hypotension, dizziness, nasal congestion, headache, and floppy iris syndrome. Ref Harrison 20th edi page no 2833